Post traumatic osteomyelitis causing organism is
1. Staphylococcus aureus
2. Staphylococcus pyogenes
3. E.coli
4. Pseudomonas

Correct answer: 1. Staphylococcus aureus

Explanation: Staphylococcus aureus is the most common causative organism in all age groups. Salmonella is the commonest organism in sickle cell anemia patients(diaphyseal). Psuedomonas aeruginosa is the commonest organism in drug abusers. ref : maheswari 9th ed